Haab's striae is seen in?
1. Trachoma
2. Congenital glaucoma
3. Scletitis
4. Cataract

Correct answer: 2. Congenital glaucoma

Explanation: Haab's striae are horizontal breaks in the Descemet membrane associated with congenital glaucoma. It is named after Otto Haab. Haab striae are curvilinear breaks in Descemet's membrane, resulting acutely from stretching of the cornea in primary congenital glaucoma. They are typically oriented horizontally or concentric to the limbus in contrast to Descemet's tears, resulting from birth trauma, that are usually vertical or obliquely oriented. differential diagnosis Band-like structures, clinically similar to Haab's striae, occur in posterior polymorphous dystrophy (PPMD) and are often confused with them. The difference in clinical appearance based on difference in histopathology allows a clear differentiation. The edge of Haab's striae are thickened, curled, and secondarily proliferate Descemet's membrane, while the area between the edge is thin and smooth. Posterior polymorphous dystrophy bands are the exact opposite. The band is a thickening of Descemet's membrane between the edges with thinner, more normal Descemet's membrane outside of them. PPMD bands may be associated with typical vesicles or appear as the only sign of dystrophy, even in the eyes of patients with a known family history.